What is the colour-coding of bag in hospitals to dispose of human anatomical wastes such as body parts
1. Yellow
2. Black
3. Red
4. Blue

Correct answer: 1. Yellow

Explanation: Human anatomical wastes including human tissues, organs and body parts come under category no.1. - category no 1 wastes are discarded in a yellow colour plastic bag. Reference: Park's textbook of preventive and social medicine, 23rd edition, pg no: 793,794